Cause of polyuria
1. Hyperglycemia
2. Hypoglycemia
3. Decreased fluid intake
4. Hypocalcemia

Correct answer: 1. Hyperglycemia

Explanation: Causes of polyuria- Diabetic insipidus Primary Polydipsia(psychogenic,hypothalamic disease ,drugs-thioridazine ,chlorpromazine, anti cholinergic drugs ) Solute diuresis Glucose ,mannitol, radiocontrast Urea(from high protein intake) Diuretics Medullary cystic diseases Resolving ATN or obstruction . -poorly controlled diabetes mellitus with glycosuria is the most common cause of solute diuresis. Ref:Harrison 20 th edition pg no 294